Post contusional syndrome includes:
1. Headache
2. Nausea & vomiting
3. Delirium
4. All of the above

Correct answer: 4. All of the above

Explanation: Due to damage of brain tissue, after recovery from injury, the patient may complain of headache, photophobia, nausea and vomiting, depression, lack of concentration or delirium. This is often called post-contusional syndrome.